Venous drainage of liver into IVC is through:
1. Portal vein
2. Hepatic veins
3. Azygous vein
4. Superior mesenteric vein

Correct answer: 2. Hepatic veins

Explanation: The upper group ( right, left and middle) and lower group (variable numbers) of hepatic veins open in vena cava as venous drainage of liver. Portal vein carry venous blood of gut to liver Superior mesentric vein and splenic vein will form Portal vein.